Urothelium lines all except
1. Ureters
2. Minor calyx
3. Urinary bladder
4. Collecting duct

Correct answer: 4. Collecting duct

Explanation: Inderbir Singh's Human Histology Seventh edition Pg 49 Transitional epithelium or urothelium is found in the renal pelvis and calyces, ureter, urinary bladder and parts of urethra